Local Anaesthetic first used clinically –
1. Procaine
2. Lignocaine
3. Bupivacaine
4. Cocaine

Correct answer: 4. Cocaine

Explanation: Cocaine was the first local anesthetic used by Carl Koller.